All are features of mania EXCEPT:
1. Insomnia
2. Presssure of speech
3. Disorientation
4. Grandeur delusion

Correct answer: 3. Disorientation

Explanation: Ans. C i.e. Disorientation